True about severity of affection of limbs in Spastic Diplegia of Cerebral Palsy is
1. Lower limbs>Upper limps
2. Lower limbs only
3. Upper limbs only
4. One upper limb and one lower limb

Correct answer: 1. Lower limbs>Upper limps

Explanation: In spastic diplegia of cerebral palsy it affects lower limbs more than upper limbs , comprising approximately 80 percent of all cases. Spastic CP typically involves increased muscle tone and difficult or unusual movements. Spastic diplegia (or diparesis) is a subtype of spastic cerebral palsy in which the legs are the most affected limbs. People with spastic diplegia often have a "scissor walk," characterized by the knees turning inward/crossing. This is due to tightness in the hip and leg muscles. In some cases, the arms may also be affected, although usually to a lesser degree . Reference: GHAI Essential pediatrics, 8th edition